Contraindication of laproscopic cholecystectomy is-
1. Empyema of the gall bladder
2. Ventriculoperitoneal shunt
3. End stage liver disease
4. Pregnancy

Correct answer: 3. End stage liver disease

Explanation: Ans. is 'c' i.e., End stage liver disease o Contraindications for lap. cholecystectomy :Absolute : Uncontrolled coagulopathyend stage liver disease.Relative : COPDCHF (ejection fraction 20%)o Conditions formally believel to be relative contrindications such as acute cholecystitis, gangrane and empyema gallbladder, biliary enteric fistula, obesity, pregnancy, ventriculoperitoneal shunt, cirrhosis and previous upper abdominal procedures are now considered risk factors for a potentially diffcult laparoscopic cholecystectomy.